Which of the following is a sequel of schistosomiasis of bladder
1. Squamous cell carcinoma
2. Adenocarcinoma
3. Lymphoma
4. Sarcoma

Correct answer: 1. Squamous cell carcinoma

Explanation: Ans. is 'a' i.e., Squamous cell carcinoma * The adult S. haematobium worm lives in the prostatovesical plexus of veins. The female worm lays her eggs in the subepithelial layers of the affected viscus.* Massive egg deposition leads to severe local reaction with granuloma formation. These are later replaced by fibrous tissue that causes contraction of different parts of the bladder and stricture of ureter.* Fibrosis and massive egg deposition interfere with the blood supply of area causing chronic bilharzial ulcerations.* Epithelial metaplasia is common and squamous cell ca is a frequent sequele.* Transitional cell carcinoma may also arise.* Schistosoma hematobium is a risk factor for both TCC & SCC